Which one of the following is the nodal ministry for Integaed Child Development Services (ICDS) programme centre?
1. Ministry for Human Resource Development
2. Ministry for Rural Development
3. Ministry for Health and Family Welfare
4. Ministry of women and child development

Correct answer: 4. Ministry of women and child development

Explanation: Ministry of women and child development. Reference:Park's textbook of preventive and social medicine,K.Park,23rd edition,page no:90.